40-year-old woman dies after a long history of an illness characterized by dyspnea, orthopnea, hepatomegaly, distended neck veins, and peripheral edema. The cut surface of the liver as it appears at autopsy is shown in the first panel. The second panel shows the microscopic appearance of the liver. Which of the following disorders is the most likely cause of these findings?
1. Chronic alcoholism
2. Diabetes mellitus
3. Niemann-Pick disease
4. Right-sided heart failure

Correct answer: 4. Right-sided heart failure

Explanation: Clinical findings described in the question are typical of Right-sided heart failure due to hepatic sinusoidal congestion Image reveals nutmeg-like appearance of hepatic chronic passive congestion(Cardiac cirrhosis) Gross appearance is caused by congested centrilobular areas alternating with pale portal areas. Lab Findings - Elevated AST, ALT to 50-100 folds